All of the following are true about Xeroderma pigmentosum except:
1. Skin manifestations appear within first 2 years of life
2. Increased risk of non melanotic skin cancers
3. Nucleotide excision repair defect
4. Autosomal dominant inheritance

Correct answer: 4. Autosomal dominant inheritance

Explanation: Xeroderma Pigmentosum At increased risk for the development of cancers of the skin particularly following exposure to the UV light contained in sun rays. UV radiation causes cross-linking of pyrimidine residues, preventing normal DNA replication. Such DNA damage is repaired by the nucleotide excision repair system. Increased risk of both melanocytic and non-melanocytic cancer. Eg : Xeroderma Pigmentosum Big FAX (Inherited disorder of DNA repair) Big: Bloom syndrome F: Fanconi anemia A: Ataxia telangiectasia X: Xeroderma pigmentosum